Not true about lepromin test is
1. It is diagnostic
2. Negative in infants < 6 months
3. Used to classify
4. BCG vaccination may convert negative to positive

Correct answer: 1. It is diagnostic

Explanation: A i.e. It is diagnostic